Incubation period of cholera is ?
1. 1-2 days
2. 7-10 day
3. 10-14 days
4. 3-5 weeks

Correct answer: 1. 1-2 days

Explanation: Ans. is 'a' i.e., 1-2 days